Premature filling of veins is a manifestation incerebral angiography of -
1. Trauma
2. Brain tumour
3. Arteriovenous malformation
4. Arterial occlusion

Correct answer: 3. Arteriovenous malformation

Explanation: In A.V. malformation there is rapid blood flow in veins.